Methadone is used in the management of opioid addiction because:
1. Its analgesic activity is less than that of morphine
2. It is an opioid receptor antagonist
3. It is not addictive
4. It is longer acting and causes milder withdrawal symptoms

Correct answer: 4. It is longer acting and causes milder withdrawal symptoms